The commonest site of extramedullary relapse of ALL –
1. CNS
2. Lung
3. Liver
4. Testis

Correct answer: 1. CNS

Explanation: The common site of relapse of ALL → i) Bone marrow (most common - 20%), ii) CNS (5%)  iii) Testis (3%)